Interaction of theophylline with ciprofloxacin is :
1. Ciprofloxacin increases theophylline metabolism
2. Ciprofloxacin decreases theophylline metabolism
3. Theophylline increases ciprofloxacin metabolism
4. Theophylline decreases ciprofloxacin metabolism

Correct answer: 2. Ciprofloxacin decreases theophylline metabolism